All are true about popliteus except
1. Flexes the knee
2. Unlocks the knee
3. Intracapsular
4. Inserted to medial meniscus

Correct answer: 4. Inserted to medial meniscus

Explanation: POPLITEUS:- Origin:-intracapsular origin.lateral condyle of femur.lateral meniscus of knee.Insertion:-posterior surface of shaft of tibia above soleal line. Nerve supply:- tibial nerve.Action:-Unlocks knee by lateral rotation of femur on tibia prior to flexion. {Reference: BDC 6E pg no. 108}